Inquest in dowry death is
1. Police inquest
2. Magistrate inquest
3. Coroner's inquest
4. Medical examiner's inquest

Correct answer: 2. Magistrate inquest

Explanation: Ans. is 'b' i.e., Magistrate inquest * Magistrate's inquest is done under sec 176 CrPC is case ofi) Death in prison, reformatories, Borstal school.v) Death due to police firing ii) Death in police costody while under police interrogation.vi) Exhumation.iii) Death in psychiatry hospital.vii) Custodial rape.iv) Dowry death; i.e. death of a married female less than 30 years of age or death within 7 years of marriage* Police inquest is done in cases ofi) Death by suicideii) Death by killing by another person (murder) or an animal or machineryiii) Death by accidentiv) Death under circumstances raising a reasonable suscpicion that some other person has commited an offence.